Which of the following factors causes endometrial hyperplasia?
1. Estrogen
2. Danazole
3. Perimenopausal age
4. None of the above

Correct answer: 1. Estrogen

Explanation: Most cases of endometrial hyperplasia result from high levels of estrogens, combined with insufficient levels of the progesterone-like hormones. This may occur in conditions including obesity, polycystic ovary syndrome, estrogen producing tumours (e.g. granulosa cell tumour) and certain formulations of estrogen replacement therapy. Endometrial hyperplasia is a significant risk factor for the development or even co-existence of endometrial cancer. Hyper estrogenic state is associated with marked endothelial hyperplasia which regress with progestins.